To prevent KFD which of the following is not used -
1. Self protection against ticks
2. Vaccination
3. Deforestation
4. Control of cattle roaming in the forest

Correct answer: 3. Deforestation

Explanation: Prevention of Japanese encephalitis include; - control of ticks :by air mounted equipment to dispense fenthion, carbaryl. -Since the heavy tick population in the forest areas is attributed partly to free roaming cattle, restriction of cattle movement is thought to bring about a reduction in vector population. - vaccination - personal protection : mosquito repellent. Reference : Park's textbook of preventive and social medicine, 23rd edition, pg no:289